All of the covalent modification regulate enzyme kinetics except
1. Phosphorylation
2. Acetylation
3. ADP Ribosylation
4. Glycosylation

Correct answer: 4. Glycosylation

Explanation: Reversible covalent modifications
• Phosphorylation Dephosphorylation
• ADP Ribosylation
• Methylation
• Acetylation.
Irreversible Covalent Modification
• Zymogen activation/ Partial Proteolysis.